Direct coomb's test detects -
1. Antigen in serum
2. Antibodies in RBC surface
3. Antigen in RBC surface
4. Antibodies in serum

Correct answer: 2. Antibodies in RBC surface

Explanation: Detection of antibodies or complements on red cell is detected by direct coombs test.Here patients red cell are mixed with sera containing Ab that are specific for human Ig or complement.If either of these is present on surface of ted cells,the antibodies cause agglutination which is easily appreciated visually as clumping. Reference : Robbins and Cotran Pathologic basis of disease.South Asia Edition volume 1.page no. 643